Spuriously high BP is seen in A/E :
1. Auscultatory gap
2. Small cuff
3. Thick calcified vessels
4. Obesity

Correct answer: 1. Auscultatory gap

Explanation: A i.e. Auscultatory gap